A male child with cryptorchidism presents with large black scales on body flexures. Skin biopsy showed hyper granulosis & steroid sulfatase deficiency. Probable diagnosis is:
1. Icthysois vulgaris
2. Icthyosis -lamellar
3. X linked icthyosis nigra
4. Nonbullous icthyosiform erythroderma

Correct answer: 3. X linked icthyosis nigra

Explanation: C. i.e X- linked icthyosis nigra Icthyosis nigra is X-linked recessive disease affecting only males and presenting with large, adherent, generalized, brown to black scales encroaching flexures along with cryptorchidismQ. Skin biopsy shows hyperkeratosis with hyper granulosis and steroid sulfatase deficiencyQ.